. Not true about tendon organ is
1. Inhibitory
2. Negative feed back
3. Protective
4. Contracting

Correct answer: 4. Contracting

Explanation: D i.e. Contracting